Bacterial spores are destroyed by
1. Boiling at 100°C
2. Disinfection by hypochlorite solution
3. Autoclave
4. Pasteurisation

Correct answer: 3. Autoclave